All are nail changes seen in cases of psoriasis except:
1. Subungual hyperkeratosis
2. Thimble pitting
3. Mees lines
4. Oil drop sign

Correct answer: 3. Mees lines

Explanation: Mees lines - seen in Arsenic poisoning Nail changes in psoriasis - MC - Nail pitting/Thimble pitting Most characteristic - oil drop sign/ salmon patch Onycholysis Leukonychia Subungual hyperkeratosis Nail tunnel